All the following receptors play a role in phagocytosis EXCEPT-
1. Mannose
2. Scavenger
3. G protein coupled receptor
4. Receptors for opsonins

Correct answer: 3. G protein coupled receptor

Explanation: Robbins and Cotran pathologic basis of disease South Asia edition. *phagocytic receptors -mannose receptors ,scavenger receptors and receptors for various opsonins bone and ingest microbes